Which of the following is main determinant of carbon dioxide elimination is Mapelson circuit:
1. Type of circuit
2. Fresh gas flow
3. Type of ventilations
4. Age of patient

Correct answer: 2. Fresh gas flow

Explanation: Any mapelson circuit can be used for any type of ventilation just by varying fresh gas flow. Required fresh gas flow Spontaneous controlled Mapelson A - Equal to minute ventilation very high Mapelson D - 2-3 x minute ventilation(MV) 1-2 x MV